Anterolateral avulsion fracture of the distal tibia! physis is known as -
1. Potts fracture
2. Tillaux fracture
3. Chopartracture
4. Jones fracture

Correct answer: 2. Tillaux fracture

Explanation: Ans. is 'b' i.e., Tillaux fracture Trillaux fractureso Fracture occurring in older adolescents.o Mechanism of injury is an external rotational force with stress placed on the anterior tibio - fibular ligament, causing avulsion of the distal tibial physisanterolaterallv.o It occurs after the medial part of the physis has closed but before the lateral part closes,o It is either Salter-Harris type III or IV fracture.